Which of the following about acute pancreatitis is truea) Pain last for several hoursb) Serum amylase levels correlates with severity of attackc) Common in alcoholicsd) Low serum calcium levels indicate good prognosis
1. a
2. bc
3. ac
4. b

Correct answer: 3. ac